Cardiac dominance is determined by coronary artery
1. Supplying circulation to the SA node
2. Supplying circulation to the inferior portion of the interventricular septum
3. Supplying circulation to the inteatrial septum
4. Supplying circulation to the anterior portion of the interventricular septum

Correct answer: 2. Supplying circulation to the inferior portion of the interventricular septum

Explanation: Cardiac dominance is determined by posterior inter ventricular artery which supplies postero inferior part of interventricular septum. Mostly this a branch of RCA so right cardiac dominance(65% of population) If posterior inter ventricular artery arise from left coronary artery, then it is left cardiac dominance in 10% of population(bad prognosis) Multiple PIVA one from right side one from left side that is co -dominance in 25% of population.